Type of hemolysis produced by pneumococcus on blood agar -
1. Alpha
2. Beta
3. Gamma
4. Any of theabove

Correct answer: 1. Alpha

Explanation: Ans. is 'a' i.e., Alpha Hemolysis||||1Alpha (a)Beta (b)Gamma (g)o Greenish discolouration with partial hemolysis around the colonieseg - Str. pneumoniae, Str. viridanso Colourless zone of complete hemolysiseg - Str. pyogenes (grp A) Str. agalactiae (grp B) Str equisimilis (grp C)o No hemolysis eg - Enterococci (grp D)